A young 16-year-old boy presented with anaemia (Hb-6 mg%). He gives a history of frequent nasal bleed, What is the most probable diagnosis
1. Juvenile angiofibroma
2. Nasal trauma
3. Nasal polyp
4. Hypertensive bleed

Correct answer: 1. Juvenile angiofibroma

Explanation: Angiofibroma, as the name implies, is made up of vascular and fibrous tissues: the ratio of the two components may vary. Mostly, the vessels are just endothelium-lined spaces with no elastic or muscle coat. This accounts for the severe bleeding as the vessels lose the ability to contract; also the bleeding cannot be controlled by the application of adrenalin (Ref: Diseases of Ear, Nose and Throat, P.L Dhingra, 7th edition, page 279)